Which of the following are chemokines?
1. IL-8
2. Leukotriene A4
3. C5
4. C3

Correct answer: 1. IL-8

Explanation: Their name is derived from their ability to induce directed chemotaxis in nearby responsive cells; they are chemotactic cytokines

C-X-C OR ALPHA CHEMOKINE

a. CXC chemokines specifically induce the migration of neutrophils
b. Secreted by activated macrophage t endothelial cell and other cell
c. Includes IL-8

C-C OR BETA CHEMOKINE:

a. induce chemotaxis of monocytes, eosinophils, lymphocytes but not neutrophils
b. Includes
I. Monocyte chemoattractant protein ( MCP-1)
II. Eotaxin
III. Macrophage inflammatory protein ( MIP)
IV. RANTES

C-CHEMOKINE OR GAMMA CHEMOKINES

a. Relatively specific for lymphocyte
b. Include lymphotactin

CXC CHEMOKINE

a. Two forms
I. Cell surface-bound
II. Soluble
b. Include fractalkine